True regarding pertussis vaccine is:
1. 95% of vaccinated are protected
2. Erythromycin should be given to contacts
3. Neuroparalytic complication is seen in I in 15000
4. Leukocytosis is diagnostic

Correct answer: 2. Erythromycin should be given to contacts

Explanation: Ans. (b) Erythromycin should be given to contacts Those known to have in contact with whooping cough should be given prophylactic erythromycin or ampicillin for 10 days. Pertussis vaccine 1. Killed whole cell vaccine: Given in the form of DPT Protection 70-90% Adverse reaction: Neurologic complication 1:170000 Convulsions Prolonged screaming Hyporesponsible state. Contraindication: Epilepsy, convulsion or other CNS disorder. 2. Acellular vaccine: Contain pertussis toxoid and filamentous hemagglutinin. Same efficacy but less reactogenic Two component (which contain pertactin and pertussis toxoid. are more effective than monocomponent acellular vaccine. The further addition of fimbriae appears to enhance protective efficacy. Note: In pertusis lymphocytosis (not leukocytosis) is diagnostic.